Most common defect of congenital rubella syndrome
1. salt and pepper retinopathy
2. Cataract
3. Sensorineural deafness
4. PDA

Correct answer: 3. Sensorineural deafness